The Fc piece of which Immunoglobulin fixes C1 complements?
1. IgA
2. IgG
3. IgD
4. IgE

Correct answer: 2. IgG